Flaky paint appearence of skin is seen in
1. Dermatitis
2. Pellagra
3. Marasmus
4. Kwashiorkar

Correct answer: 4. Kwashiorkar

Explanation: D i.e. Kwashiorkar